Fructose is transported by:
1. GLUT 1
2. GLUT 2
3. GLUT 5
4. GLUT 4

Correct answer: 3. GLUT 5

Explanation: GLUT 5is membrane channel for the facilitated diffusion of glucose It is seen in testis,gastrointestinal tract